Which of the folowing statements about calendar method (Rhythm method) is false :
1. Abstinence is needed for only a few days in a month
2. It is associated with no costs
3. Safe period can also be observed using temperature rhythm or mucous method
4. Ectopic pregnancy is a reported complication of calendar method

Correct answer: 1. Abstinence is needed for only a few days in a month

Explanation: Ans. is a i.e Abstinence is needed for only a few days in the month Calendar method or Rhythm method Basis - avoidance of sexual intercourse around ovulation In a 28 days cycle ovulation normally occurs on the 14" day of cycle, but may occur at anytime between the 12" and 16'h day. Spermatozoa deposited in female genital tract survive for 24 hours. The ovum may live for 12-24 hours so that intercourse between 11'h and 17" day may result in a pregnancy. The safe period is calculated from vials' day of the menstrual period until the 10th day of the cycle and from 18'h to 28" day. Or safe period can be calculated as shortest cycle minus () 18 gives first day of fertile period and longest cycle minus (-) 10 gives last day of fertile period An alternative method is to calculate the risk period, which is from 3 days before ovulation to 3 days after ovulation. Hark 19,e, p vvr-Ire such ;..:aiL,Lliatiur is are IRA posibie, the couple is advised to avoid intercourse from the 8th day to 22h" day of the menstrual cycle, counting from the 151 day of the menstrual period. (i.e. first and last 7 days are safe). Thus, long periods of compulsory abstinence for nearly one half of every month may be required. Advantages : Low cost Lack of side effects. Dra Jacks : Difficult to predict the safe period if cycles are irregular Can only be used by educated and responsible couples with a high degree of motivation and co-operation. Compulsary abstinence of sexual intercourse for nearly half month called as Programmed sex. Not applicable during postnatal period. High failure rate - 9/100 WY. Medical complications : Ectopic pregnancy Embryonic abnormalities due to conception involving either over aged sperm or egg. Other methods which can be observed to calculate the safe period : Temperature rhythm : female notes her basal bodytemperature before getting up from bed and abstinence is advised until the third day of rise of temperature. Mucus method /Billing method : Abstinence is advised on all days of noticeable mucus and for four days thereafter. Symptothermic method : It combines BBt + cervical mucus + calender technique.